Which of the following drugs is used to control tachycardia and palpitations in persons with acute symptoms of hyperthyroidism ?
1. Liothyronine
2. Propanolol
3. Methimazole
4. Potassium iodide

Correct answer: 2. Propanolol

Explanation: Ans. is 'b' i.e., Propanolol